In a 24 year old man weight of the upper limb is transmitted to the axial skeleton by:
1. Coracoacromial ligament
2. Coracoclavicular ligament
3. Costoclavicular ligament
4. Coracohumeral ligament

Correct answer: 2. Coracoclavicular ligament

Explanation: The axial skeleton shapes the longitudinal axis of the human body. Coracoclavicular ligament suspends the scapula from the lower one third of the clavicle and forms a strong bond between them. The weight of the upper limb is transmitted to the axial skeleton through this ligament. A fracture of the clavicle, medial to the attachment of this ligament leads to drooping of upper limb. Ref: TB of Anatomy and Physiology PR Ashalatha, 1st Ed, Page 110